A 28-year-old lady is suspected to have the polycystic ovarian disease. The sample for testing LH & FSH are best taken on the following days of the menstrual cycle
1. 10-Aug
2. 4-Jan
3. 13-15
4. 24-26

Correct answer: 2. 4-Jan

Explanation: Serum FSH concentrations vary signiﬁcantly across the cycle, hence serum FSH concentration is best obtained during the early follicular phase (cycle day 2–4)